'S-A-F-E program' was initiated for the control of which of the following conditions?
1. Trachoma
2. Ocular trauma
3. Onchocerciasis
4. Refractive error

Correct answer: 1. Trachoma

Explanation: The WHO has initiated the S-A-F-E program to eliminate blinding trachoma and at least markedly reduce clinically active disease. The S-A-F-E program is as follows: Surgery for deformed eyelids; periodic Azithromycin therapy; Face washing and hygiene; and, Environmental improvement such as building latrines and decreasing the number of flies that feed on conjunctival exudates. It is clear that improved socioeconomic conditions enhance the disappearance of endemic trachoma. S - Surgery for trachomatous trichiasis A - Antibiotics (Azithromycin/Doxycycline) F - Facial cleanliness E - Environmental change The WHO estimates that 6 million people have been blinded by trachoma and that 1.3 million people in developing countries still suffer from preventable blindness due to trachoma. The International Trachoma Initiative founded by the WHO in 1998 aims to eliminate blinding trachoma globally by 2020. Ref: Brooks G.F., Carroll K.C., Butel J.S., Morse S.A., Mietzneron T.A. (2010). Chapter 27. Chlamydiae. In G.F. Brooks, K.C. Carroll, J.S. Butel, S.A. Morse, T.A. Mietzneron (Eds), Jawetz, Melnick, & Adelberg's Medical Microbiology, 25e. ; PG Ophthalmology: Volume I and, 2 By Zia Chaudhari, Page 15 ; Global Health 101 By Richard Skolnik, 2nd Edition, Page 261